A 18 years old boy with history of Anterior dislocation of shoulder presents with
1. Abduction and internal rotation
2. Abduction and external rotation
3. Flexion
4. Extension

Correct answer: 2. Abduction and external rotation